Which hormone acts on cytoplasmic membrane receptor?
1. TSH
2. Thyroxine
3. Androgen
4. Cortisol

Correct answer: 1. TSH

Explanation: A hormone receptor is a molecule that can bind to a specific hormone. Receptors for peptide hormones tend to be found on the plasma membrane of cells, whereas receptors for lipid-soluble hormones are usually found within the cytoplasm.Many hormones are composed of polypeptides, e.g. thyroid-stimulating hormone, follicle-stimulating hormone,leutinizing hormone, and insulin. These molecules are not lipid-soluble and therefore cannot diffuse through cell membranes. Consequently, receptors for peptide hormones are located on the plasma membrane.Steroid hormone receptors and related receptors are generally soluble proteins that function through gene activation. Their response elements are DNA sequences (promoters) that are bound by the complex of the steroid bound to its receptor. The receptors themselves are zinc-finger proteins. These receptors include those for glucocorticoids, cortisol, estrogens, androgens, thyroid hormone (T3), calcitriol (the active form of vitamin D), Ref: Ganong's review of medical physiology;24th edition; page no-302